In argininosuccinase deficiency, what should be supplemented to continue the urea cyce -
1. Aspartate
2. Arginine
3. Citrull in
4. Argininosuccinate

Correct answer: 2. Arginine

Explanation: Ans. is 'b' i.e., Arginine o Argininosuccinase (argininosu coin ate lyase) catalyses the cleavage of arginiosuccinate into arginine and fumarate.o Thus, in argininosuccinase deficiency arginine cannat be produced.o Supplementation with arginine base helps replenish this amino acid.